A 46-year-old Texan develops a lesion in the vestibule of his mouth that on histological examination is revealed to be verrucouscarcinoma of the upper aerodigestive tract. What is true of this lesion?
1. It is most commonly found on the inside of the cheek.
2. It is associated with a high metastatic rate.
3. It is ulcerating in appearance.
4. It is best treated with radiation.

Correct answer: 1. It is most commonly found on the inside of the cheek.

Explanation: Verrucous carcinoma is a low grade malignancy and is seen more frequently in the southern part of the United States. It is found most commonly on the gingival buccal junction in tobacco chewers. It is grayish white and exophytic. wide local excision is Treatment of choice .Radiation may be tried for very large lesions.If not excised, the lesion tends to invade locally